In which of the following head and neck cancers, is lymph node metastasis least common?
1. Tongue
2. Buccal mucosa
3. Hard palate
4. Lower alveolus

Correct answer: 3. Hard palate

Explanation: LN metastasis is most common in CA tongue > Floor of mouth > Lower alveolus > Buccal mucosa > Upper alveolus > Hard palate > Lip